Which amongst the following endothelin is involved in MI?
1. Endothelin 1
2. Endothelin 2
3. Endothelin 3
4. Endothelin 4

Correct answer: 1. Endothelin 1

Explanation: Plasma ET-1 levels are raised after acute myocardial infarction due to coronary vasoconstriction-Myocardial ischemia -Ventricular dysfunction. Endothelin (ET)-1 is a potent coronary vasoconstrictor.